Menstrual cycle is 29 day regular, day of ovulation in cycle -
1. 11th
2. 17lh
3. 15th
4. 13th

Correct answer: 3. 15th

Explanation: Ans. is 'c' i.e., 15th o For calculating the day of ovulation from the average of the full menstrual cycle days, we should know that ovulation occurs 14 days prior to menstruation of the next cycle.Thus the day of ovulation can be calculated by subsir acting 14 from the average duration of the menstrual cycle.This means that the secretory phase phase remains relatively constant while the menstrual and proliferative phases vary in duration.Thus for a 29 day cycle the ovulation is expected to occur on 29 - 14 = 15(tm) day of the menstrual cycle.